Coxa vara is caused bv:
1. SCFE
2. Rickets
3. Paget's disease
4. All of the above

Correct answer: 4. All of the above

Explanation: Ans: d (All of the above) Ref: Maheswari, 4th ed, p. 274; Adams, 3rd ed, p. 339, Bailey, 24th ed, p. 477Coxa vara: Reduced neck- shaft angle of femura) Congenital- often associated with femoral hernia.b) Infantile (developmental)- unknown etiologyFairbanks triangle- Triangle of bone in the inferior portion of metaphysicTreatment- corrective osteotomyc) Acquired- Due to bone softening conditions e.g.: rickets, trauma, Paget's disease, osteomalacia, fibrous dysplasia.d) SCFE- slipped capital femoral epiphysis.C/F- painless limpO/E- limited abduction & internal rotationTreatment-Sub trochantric corrective osteotomy